The area of the brain resistant to Neurofibrillary tangles of Alzheimer's disease is:
1. Visual association areas
2. Entorhinal cortex
3. Temporal lobe
4. Lateral geniculate body

Correct answer: 4. Lateral geniculate body

Explanation: Lateral geniculate body of the thalamus is resistant to the neurofibrillary tangles of Alzheimer's disease. So lateral geniculate body is the single best answer of choice. Ref: Harrisons Principles of Internal Medicine, 16th Edition, Pages 2398-2401.